Most common cause of genu valgum in children is –
1. Osteoarthritis
2. Rickets
3. Paget disease
4. Rheumatoid arthritis

Correct answer: 2. Rickets